Caustic poison erodes mucosa because -
1. Glue like action
2. Hygroscopic in nature
3. High affinity for mucosa
4. Being programmed to stick

Correct answer: 2. Hygroscopic in nature

Explanation: caustic soda is sodium hydroxide * In concentrated form, alkali acts as corrosive and in dilute form they act as irritant strong alkalis absorbs water from tissues and precipitates protein * Strong alkali produces liquefaction necrosis and causes saponification of fats and dissolves proteins thus causing deep penetration in the tissue resulting in extensive tissue destruction REF;THE SYNOPSIS OF FORENSIC MEDICINE:KS NARAYANA REDDY;28th EDITION;PAGE NO302